All of the following are true about Morgagnian cataract, EXCEPT:
1. It is an immature cataract
2. Lens becomes a bag of milky fluid
3. Calcium deposits are seen on the lens capsule
4. Brown nucleus settles at the bottom

Correct answer: 1. It is an immature cataract

Explanation: Morgagnian cataract is an hypermature cataract. In some patients, after maturity the whole cortex liquefies and the lens is converted into a bag of milky fluid. The small brownish nucleus settles at the bottom, altering its position with change in the position of the head. Such cataract is called Morgagnian cataract. Calcium deposits may also be seen on the lens capsule. Ref: Comprehensive Ophthalmology by AK Khurana, 4th edition, Page 177.